Which enzyme is deficienct in Fabry disease
1. β Galactosidase
2. β Hexosaminidase A
3. α Galactosidase
4. β Glucosidase

Correct answer: 3. α Galactosidase

Explanation: α Galactosidase deficiency - Fabry disease
β Galactosidase deficiency - krabbes disease.